Triple deformity of the knee is present in:
1. Tuberculosis of knee
2. Pyogenic knee
3. Osteoarthritis knee
4. None of the above

Correct answer: 1. Tuberculosis of knee

Explanation: Ans. A. Tuberculosis of kneeIn early stages of TB knee, there is mild flexion deformity of the knee because of effusion in the knee and the muscle spasm. Later triple displacement occurs due to ligament laxity.This includes:a. Flexion'b. Post subluxation of tibiac. External rotation of tibia.